All of the following are essential for a well to meet the criteria of a sanitary well, EXCEPT:
1. Located at least 15m away from possible sources of contamination
2. Consumer responsibility
3. No user should have to carry water more than 500 metres
4. A parapet wall up to a height of at least 70-75cm

Correct answer: 3. No user should have to carry water more than 500 metres

Explanation: The criteria for a sanitary well are: Location: It should be at least 15m away from possible sources of contamination located a higher level than nearby sources of contamination and no user should have to carry water for more than 100m Lining: The inside of the well should be lined with bricks up to a depth of 6 metre and 60-90cm above the ground level. Parapet wall should be up to a height of at least 70-75cm. Platform: A cement concrete platform should be constructed around the well with a radius of at least 1m in all directions. Drain Cover Hand pump Consumer responsibility Quality: The physical chemical and biological parameters of the well water should conform to acceptable standards Ref: Environment and health Park's textbook of Preventive and Social Medicine, 21st edition, page-656.